Rupture of extensor pollicis longus tendon occurs in all of the following except -
1. Rheumatoid arthritis
2. Colle's fracture
3. Drummers
4. De Quervains disease

Correct answer: 4. De Quervains disease

Explanation: RUPTURED EXTENSOR POLLICIS LONGUS : The long thumb extensor may rupture after fraying or ischaemia where it crosses the wrist (e.g. after a Colles' fracture, or in rheumatoid arthritis). The distal phalanx drops into flexion; it can be passively extended, and there may still be weak active extension because of thenar muscle insertion into the extensor expansion; however, the thumb cannot be actively elevated backwards above the plane of the hand (retroposition). Direct repair is unsatisfactory and a tendon transfer, using the extensor indicis, is needed. The results are, in over 90 per cent of cases, satisfactory. IMAGE SHOWING RUPTURE OF EPL TENDON REF:Apley's system of orthopaedics- 9th edn - pg no 419.